Iodine status in a population is measured using
1. TSH
2. T3,T4
3. Thyroglobulin
4. Urinary iodine

Correct answer: 4. Urinary iodine

Explanation: Iodine sufficiency is defined as a median urinary iodine concentration of: *100 to 299 mcg/L for children and nonpregnant adults *150 to 249 mcg/L for pregnant women Iodine deficiency is defined by the following median urinary iodine concentrations: *Mild iodine deficiency - 50 to 99 mcg/L *Moderate deficiency - 20 to 49 mcg/L *Severe deficiency - <20 mcg/L Ref : Park 23rd edition Pgno : 624